Thyroplasty Type I is done for vocal cord.........
1. Medialisation
2. Lateralisation
3. Shortening
4. Lengthening

Correct answer: 1. Medialisation

Explanation: Ans: a (Medialisation) Ref: Dhingra, 3rded, p. 364 & 4thed, p. 278Laryngeal frame work surgery - Isshiki's classificationType I thyroplastyType II thyroplastyType III ThyroplastyType IV thyroplasty- Medial displacement- Lateral displacement- Shortening (relaxation)- Elongation (tensioning) Indications: Type III thyroplastyIndications: Type IV thyroplasty1) Adductor spasmodic dysphonia2) Mutational falsetto3) Gender transformation (female to male)1) Androphonia2) Post surgical defects3) Gender transformation (male to female)